An expectant mother feels quickening at :
1. 12-14 weeks
2. 16-20 weeks
3. 26 weeks
4. 24-28 weeks

Correct answer: 2. 16-20 weeks

Explanation: In second trimester the pregnant women feels much better ,the nausea vomiting and bladder frequency is almost gone She slowly starts feeling growing uterus per abdomen Of interest and excitement to her is the very first perception of foetal movement called quickening felt at around 18 weeks in a primigravida and 16 -18 wks in a multigravida (refer pgno:90 Sheila 2 nd edition)